Diphtheria is pathogenic only when infected with
1. Beta phage
2. Alfa phage
3. Lambda k12
4. Delta phage

Correct answer: 1. Beta phage